True about Mantoux test -
1. <5 cm always +ve
2. Usually -ve after treatment
3. Positive reacion in children <2 yrs is not important than adult
4. Usually read after 48-72 hours

Correct answer: 4. Usually read after 48-72 hours

Explanation: The result of tuberculin test is read after 48-96 hours but 72 hours (3rd day) is the ideal. Tuberculin reaction consists of erythema and induration.reaction exceeding 10 mm are considered 'positive'. Park's textbook of preventive and social medicine,K.Park,23rd edition,page no:185